Vitamin given in pregnant women to prevent neural tube defect:
1. Folic acid
2. Vitamin B12
3. Vitamin C
4. Vitamin A

Correct answer: 1. Folic acid

Explanation: Ans: a (Folic acid) Ref: Vasudevan, 4th ed, p. 292; ed, p. 305Folic acid given during pregnancy prevents foetal malformations such as spina bifida.Folic acid:Folic acid consists of pteridine attached to one molecule of PABAand glutamic acid.